All the following structures are pierced by Stenson's duct except
1. Buccopharyngeal Fascia
2. Pharyngobasilar Fascia
3. Buccal pad of fat
4. Buccinator

Correct answer: 2. Pharyngobasilar Fascia

Explanation: The parotid duct pierces buccal pad of fat, buccopharyngeal fascia, buccinator muscle and the mucous membrane to open into the vestibule of mouth opposite the crown of the upper second molar tooth.Reference: Chourasia; 6th edition; 61 pages